Sedation by which of the following routes can be reversed most rapidly:
1. Oral
2. Inhalation
3. Intravenous
4. Intramuscular

Correct answer: 2. Inhalation